Which of the following is not stored at cold temperature?
1. Whole blood
2. Packed RBCs
3. Leucoreduced RBCs
4. Platelet concentrate

Correct answer: 4. Platelet concentrate

Explanation: Ans. is 'd' i.e., Platelet concentrateoWhole blood contains 350 ml of donor blood plus anticoagulants. Once blood is removed from the donor, it starts a sequences of in vitro changes that change its physiological properties. Ensuring the blood and its products transfusion safe, their storage is a must. The main aim is to minimize damage to store blood. The recommend temperature for storage of blood is 2-6degCroAt present the most widely used protocol for the storage of red blood cells (packed RBCs. washed, leukodepleted, irradiated, apheresis, deglycocerolized, rejuvinated) (for up to 42 days) is the collection of blood into anticoagulant solutions (typically citrate-dextrose-phosphate); red cell concentrates are prepared by the removal of plasma and, in some cases, also leukoreduction. The product is stored at 4+-2degC in a slightly hypertonic additive solution, generally SAGM (sodium, adenine, glucose, mannitol, 376mOsm/L)oPlatelets are stored in temperature-controlled incubators (20-24degC) with constant agitation (refrigerated platelets are rapidly removed from the circulation). The recent introduction of automated bacterial screening has allowed some Blood Services to extend the shelf life from 5 to 7 days after donation.oFresh frozen plasma is stored in approved freezers at less than 30degC. It is thawed just before use (a process which takes up to 30 minutes) and once thawed, must be infused within 24 hours if kept at 4degC (or 4 hours if kept at room temperature).Blood componentStorage temperatureShelf lifeWhole blood2-6deg C35 daysRed cells2-6deg C42 daysPediatric red cells2-6deg C35 daysWashed red ceils2-6deg C28 daysLeukodepleted red cells2-6degC35 daysPlatelets20-24degC5 daysFresh frozen plasma, crvodepleted plasma.Below - 25degC12 -36 monthsCryoprecipitate Buffy coat (granulocytes)20-240degCTo midnight on the day of collection